Which of the following areas of the brain is not a primary sensory cortex?
1. 1
2. 2
3. 3
4. 4

Correct answer: 4. 4

Explanation: Ans. D 4Ref: Netter's Atlas of Neurosciences, 3rd ed. pg. 53* The primary sensory cortex lies in the post central gyrus and is area 1, 2, 3* Area 4 is the primary voluntary cortex.Brodmann Areas of Cerebral Cortex1, 2, 3Primary sensory cortex lies in Post central gyrus4Primary voluntary cortex lies in precentral gyrus17Primary visual cortex and lies in calcarine cortex18, 19Visual association cortex22Wernicke's area (Superior Temporal lobe)41Primary auditory area44, 45Broca area (inferior frontal gyrus